Tattoo is not visible on autopsy. But the presence of tattoo was informed by relative. What is the next site to check?
1. Regional lymph node
2. Liver
3. Skin
4. Vessel

Correct answer: 1. Regional lymph node

Explanation: * The regional lymph nodes near a tatoo mark show a deposit of a pigment.* A faded tattoo mark becomes visible by the use of ultraviolet lamp or rubbing the part and examining with magnifying lens.* Infrared photography makes old tattoos readily visible.* The marks are recognised even in decomposed bodies when the epidermis is removed by wiping the area with a moist paper towel or a piece of cloth.